All of the following are causes of delayed dentition except
1. Rickets
2. Hyperparathyroidism
3. Hypothyroidism
4. Cleidocranial dysplasia

Correct answer: 2. Hyperparathyroidism

Explanation: Delayed dentition means there is no eruption of teeth by the age of 13 months of age (mean + 35D).
Causes of delayed dentition:
Rickets
Down syndrome
Hypothyroidism
Hypoparathyroidism
Cleidocranial dysplasia